Tsetse fly transmits -
1. Trypanosoma brucei
2. T. cruzi
3. Kala-azar
4. Oriental sore

Correct answer: 1. Trypanosoma brucei

Explanation: Trypanosoma brucei

It is the causative organism of sleeping sickness.
T. brucei gambiense → West African sleeping sickness
T. brucei rhodesiense → East African sleeping sickness
Definitive host → Man
Intermediate host → Tsetse fly


Infective form to men → Metacyclic form (metacyclic trypomastigote)
Habitat


- The reticuloendothelial tissue of lymph node and spleen. - Blood
- Connective tissue spaces of various organs. - C.S.F.
- Intercellular spaces in the brain.